Both PT and APTT are prolonged in -
1. Factor II deficiency
2. Thrombocytopenia
3. Factor VII deficiency
4. Heparin therapy

Correct answer: 1. Factor II deficiency

Explanation: Ans. is 'a' i.e., Factor II deficiencyo Prolongation of both PT and A PPT is typically seen in deficiency of involoved in the common pathway, namely factor //, factor V and factor X (and fibrinogen).o Heparin in clinical concentrations is typically associated with isolated prolongation of APTT while PT is normal be cause heparin acts on the intrinsic pathway. (However Heparin at very high concentrations within the sample may cause prolongation of both PT & APTT).